Viruses can be isolated from clinical samples by cultivation in the following except?
1. Tissue culture
2. Embryonated eggs
3. Animals
4. Chemically defined media

Correct answer: 4. Chemically defined media

Explanation: 3 methods are employed for the cultivation of viruses -inoculatiin into animals ,embryonated eggs and tisaue cultures. REF:ANANTHANARAYAN AND PANIKER'S TEXTBOOK OF MICROBIOLOGY 9TH EDITION PAGE NO:434